All of the following results in detoxification of drugs except-
1. NADPH cytochrome P450 reductase
2. Cytochrome P450
3. Cytochome oxidase
4. Monooxygenase

Correct answer: 3. Cytochome oxidase

Explanation: Ans. is 'c' i.e., Cytochrome oxidase o Drugs can be metabolized by cytochrome P450 dependent oxidations and cytochrome P450 independent oxidations (i.e., by monoxygenases). o NADPH cytochrome P450 reductase is same as flavin monooxygenase. o Cytochrome oxidase is involved in respiratory chain and not in drug metabolism.